The most accurate imaging for the diagnosis of pulmonary embolism is -
1. CT SCAN of chest
2. MRI of chest
3. X - ray chest
4. CT pulmonary angiography

Correct answer: 4. CT pulmonary angiography

Explanation: Ans. is 'd' i.e., CT pulmonary angiography o Invasive pulmonary angiography is the most accurate method for diagnosis of PE, it is an invasive procedure. # Investigation of choice for PE - Chest CT with contrast (especially MDCTA) # Investigation of 2nd choice - Lung scan (V/Q scan) # Best investigation for PE - Chest CT with contrast (MDCTA) # Most accurate investigation for PE - Invasive pulmonary angiography # Gold - standard test for PE - Invasive pulmonary angiography # Screening test for PE - D-dimer assay